Mycetoma is caused by the following agents except
1. Allescheria boydii
2. Madurella mycetomii
3. Trichosporum beigelli
4. Nocardia asteroides

Correct answer: 3. Trichosporum beigelli

Explanation: Trichosporon beigelii- causes white piedra. Eumycetoma - caused by acremonium falciforme, Madurella mycetomi, Madurella grisea, Pseudoallescheria boydii and Exophiala jeanselmei. Actimomycetoma - actinomadura Madurai, actinomadura palletieri, Nocardia brasiliensis and streptomyces somaliensis. Ref: Textbook of Microbiology, Ananthanarayan and Paniker; 9th edition